Clitoris develops from which of the following:
1. Genital tubercle
2. Genital ridge
3. Wolffian duct
4. Mullerian duct

Correct answer: 1. Genital tubercle

Explanation: Phallic tubercle or genital tubercle Present in the development of the urinary and reproductive organs. It forms in the ventral, caudal region of mammalian embryos of both sexes and eventually develops into a phallus. In the human fetus the genital tubercle develops around week 4 of gestation and by week 9 becomes recognizably either a clitoris or penis. This should not be confused with the sinus tubercle which is a proliferation of endoderm induced by paramesonephic ducts. Even after the phallus is developed, the term genital tubercle remains, but only as the terminal end of it, which develops into either the glans penis or the glans clitoridis.